Q-fever is caused by:
1. Rochaemelia Quintana
2. Coxiella burnetti
3. Mycoplasma hominis
4. None of the above

Correct answer: 2. Coxiella burnetti

Explanation: Q-fever is caused by Coxiella burnetti. Rickettsial disease: Disease Agent Epidemic typhus Murine typhus Scrub typhus Indian tick typhus RMSF Rickettsial pox R. prowazekii R.typhi R.tsutsugamushi R. conori R. rickettsia R. akari genital trat infections,infertility,abortion, postpartum fever, chorioamnionitis and lowbih weight of infants. M.hominis Q fever Trench fever Coxiella burnetii Bartonella quintana, originally known as Rochalimaea quintana,/ "Rickettsia quintana"